Which of the following nutrients are not included in TPN?
1. Lipids
2. Carbohydrates
3. Proteins
4. Fibers

Correct answer: 4. Fibers

Explanation: Ans. (d) FibersRef: Bailey 26/e p264Total Parenteral nutrition contains:* Carbohydrates* Lipids* Amino acids* Electrolytes* Trace elements* Vitamins* Water